Most peripheral Laboratory under RNTCP is:-
1. Tuberculosis unit
2. Peripheral reference laboratory
3. Intermediate reference laboratory
4. Designated microscopy centre

Correct answer: 4. Designated microscopy centre

Explanation: - Most peripheral Laboratory under RNTCP is Designated microscopy center (DMC's) Designated microscopy center (DMC's) - Plains - 1/100,000 popu. - Hilly / Tribals - 1/50,000 popu. It is maintained by trained lab technician 1 TB unit - 1/5,00,000 pop. Maintained by senior TB lab supervision